Absorption of fats is associated with all except
1. Pancreatic lipase
2. Colipase
3. Gastric lipase
4. Bilirubin

Correct answer: 4. Bilirubin

Explanation: Micellar formation is essential for the absorption of fat-soluble vitamins such as vitamin A, D and K. iii. The micelles are aligned at the microvillous surface of the jejunal mucosa. Fatty acids, 2-MAG and other digested products passively diffuse into the mucosal cell The hydrophobic portions of bile salts intercalate into the large aggregated lipid, with the hydrophilic domains remaining at the surface. This leads to breakdown of large aggregates into smaller and smaller droplets. Thus the surface area for action of lipase is increased. Long chain fatty acids are absorbed into the intestinal cell wall, where they are re-esterified, made into chylomicrons and enter into lymphatics. Short chain fatty acids are directly absorbed into blood capillaries. Bile acids are reabsorbed into portal veinRef: DM Vasudevan, page no: 129